Treatment of nasopharyngeal carcinoma stage T1 is
1. Radiation therapy
2. Surgery
3. Local resection
4. Chemotherapy

Correct answer: 1. Radiation therapy

Explanation: Radiotherapy is the treatment of choice for nasopharyngeal cancer. Stage I and II are treated by radiotherapy alone while stage III and IV require concomitant radiation and chemotherapy or radiation followed by chemotherapy. External beam radiation of 6000-7000 cGy can be delivered by the linear accelerator to the primary and both sides of the neck. More advanced techniques of radiotherapy such as three-dimensional conformal radiotherapy and intensity modulated radiotherapy (IM) are now being used more and more. They allow higher dose delivery to the tumour with reduced damage to the adjacent normal structures such as spinal cord, brainstem and parotid glands. IM has also been used for a recurrent disease where conventional radiotherapy produces more serious side effects such as transverse myelitis (Ref: Diseases of Ear, Nose and Throat, P.L Dhingra, 7th edition, page 285)